Most likely feature in Mayer-Rokitansky-Kuster-Hauser syndrome along with primary amenorrhea is:
1. Ovary agenesis
2. Absent secondary sexual characteristics
3. Vaginal atresia
4. Bicornuate uterus

Correct answer: 3. Vaginal atresia

Explanation: Mayer Rokitansky-Kuster-Hauser syndrome (Mullerian agenesis) Congenital hypoplasia or absence of the Vagina(Characteristic feature) in combination with abnormal or absent uterus, Second most common cause of Primary Amenorrhea, Karyotype- 46XX, Gonad- Ovary: normal and functional: responsible for normal external feminisation Mullerian structures don't develop. Primary amenorrhoea Partial or complete absence of vagina Wide array of uterine abnormalities Skeletal/renal and other associated abnormalities, A normal female appearance and secondary sexual characteristics